Which of the following is not a feature of Hutchinson’s triad:
1. Facial nerve paralysis
2. Mulberry molars
3. Ocular interstitial keratitis
4. Vestibulocochlear nerve paralysis

Correct answer: 1. Facial nerve paralysis